All are causes of Unconjugated hyperbilirubinemia except.
1. Criggler - Najjar syndrome
2. Hereditary Spherocytosis
3. Gilbert Syndrme
4. Dubin Johnson Syndrome

Correct answer: 4. Dubin Johnson Syndrome

Explanation: Dubin johnson Syndrome is a cause of Conjugated hyperbilisubinemia
Causes of Unconjugated hyperbilirubinemia

Hemolytic anaemia:-
a) ABO or Rh incompatibility
b) Hereditary spherocytosis
c) GEPD deficiency
Polycythemia
Criggler - najjar syndrome type I and II
Gilbert syndrome
Hypothyroidism
Breast milk jandice